Anesthetic agent used in ECT is
1. Ketamine
2. Thiopentone
3. Propofol
4. Methohexitol

Correct answer: 4. Methohexitol

Explanation: Methohexitol is a barbitutate used as induction agent in ECT.